Medial wall of orbit formed by:
1. Body of sphenoid
2. Lesser wing of sphenoid
3. Greater wing of sphenoid
4. All

Correct answer: 1. Body of sphenoid

Explanation: A i.e., Body of sphenoid